The increase in threshold of a receptor when a series of stimuli of subthreshold intensity are applied in succession is called as__________
1. Adaptation
2. Initiation
3. Accommodation
4. Resistance

Correct answer: 3. Accommodation